A 34-year-old woman has a direct blow to the patella by the dashboard of the vehicle during an automobile crash. The woman is admitted to the emergency department and radiographic examination reveals patellofemoral syndrome. This type of syndrome is characterized by lateral dislocation of the patella. Which of the following muscles requires strengthening by physical rehabilitation to prevent future dislocation of the patella?
1. Vastus lateralis
2. Vastus medialis
3. Vastus intermedius
4. Rectus femoris

Correct answer: 2. Vastus medialis

Explanation: During extension of knee joint their is natural tendency of patella to dislocate laterally. The vastus medialis inserts upon the medial aspect of the patella and draws it medially, especially in the last quarter of extension--during which it is especially palpable in contraction. This muscle is referred to as the vastus medialis obliqus (VMO). Increasing the strength of this muscle can lessen the lateral dislocation of the patella.